The operating temperature in an ethylene oxide sterilization during warm cycle is
1. 20-35 degree c
2. 49-63 degree c
3. 68-88 degree c
4. 92-110 degree c

Correct answer: 2. 49-63 degree c